Sympathetic supply to the hearts is from which of the following:
1. T1 toT5
2. T 2 toT6
3. T 3 toT7
4. T4 toT8

Correct answer: 1. T1 toT5

Explanation: T1 toT5